Heroin abuse causes ?
1. Focal segmental glomerulonephritis
2. Cresent glomerulonephritis
3. Membraneus glomerulonephritis
4. Diffuse glomerulonephritis

Correct answer: 1. Focal segmental glomerulonephritis

Explanation: Answer- A. Focal segmental glomerulonephritisClinically it presents as nephrotic syndrome.CausesHIV infectionHeroin addictionSickle cell diseaseMassive obesityIgA nephropathyReflux nephropathyIdiopathic